Absolute C/I of Bag & Mask ventilation
1. Tracheoesophageal fistula
2. Congenital diaphragmatic hernia
3. Choanal atresia
4. Cleft palate

Correct answer: 2. Congenital diaphragmatic hernia

Explanation: Absolute C/I of Bag and Mask ventilation is - CDH Also know Q The resuscitation bag should have capacity of 240 to 750 mL Reservoir +O2 attached - Fio2 delivered >90% Only reservoir attached - [?] 21% Only oxygen & no reservoir - [?] 40 Q Indications of PPV - 1. Apnea 2. Gasping 3. HR <100/min inspite of 100 percent oxygen Q Most successful indicator of successful resuscitation - Improvement in heart rate.